Chocolate brown hypostasis is seen in all poisoning except:
1. Hydrogen sulphide
2. Aniline
3. Nitrites
4. Potassium chlorate

Correct answer: 1. Hydrogen sulphide

Explanation: PM hypostatis or lividity or PM Staining-settling down of blood in dependant parts due to gravity. It is used to detect time since death, position of body, cause of death. Normal color-bluish,purplish CO poisoning- cherry red CN poisoning- brick red H2S poisoning- bluish red Chocolate brown: potassium chlorate aniline nitrites